Burr cell is seen in "RTI -
1. Uremia
2. Hepatocellular carcinoma
3. Gastric carcinoma
4. Ovarian carcinoma

Correct answer: 1. Uremia

Explanation: Burr cells are cell fragments having one or more spines.They are particularly found in uraemia. Echinocyte, in human biology and medicine, refers to a form of red blood cell that has an abnormal cell membrane characterized by many small, evenly spaced thorny projections. A more common term for these cells is burr cells Ref: Harsh Mohan textbook of pathology, 7th edition.Pg no.270